Arthritis involving DIP, PIP, 1st carpometacarpal with sparing of MCP and wrist joints is typical of -
1. Osteoarthritis
2. Rheumatoid arthritis
3. Ankylosing spondylitis
4. Psoriatic arthritis

Correct answer: 1. Osteoarthritis

Explanation: Ans. is 'a' i.e., Osteoarthritis JointImportant arthritis involving the jointDistal interphalangeal jointProximal interphalangeal jointMetacarpophalangeal joint1st Carpometacarpal jointWristOsteoarthritis, Psoriatic arthritis, Reactive arthritisOsteoarthritis, RA, SLE, Psoriatic arthritisRA. pseudogout, hemochromatosisOsteoarthritisRA, Pseudogout, gonococcal arthritis, juvenile arthritisSpared jointo Wrist and MTPo DIPOsteoarthritisRA